Hepatic encephalopathy is aggravated by all except?
1. Hyperkalemia
2. Anemia
3. Hypothyroidism
4. Barbiturates

Correct answer: 1. Hyperkalemia

Explanation: Hypokalemia is seen with overzealous use of diuretics and this will lead to dehydration and increased hepatic encephalopathy. Anemia associated with Gl bleeding worsens hepatic encephalopathy Constipation in hypothyroidism will worsen hepatic encephalopathy by increasing bacterial load. Drugs like barbiturates and antipsychotics worsen hepatic encephalopathy